Villous polyp of rectum manifest -
1. Bleeding PR
2. Mucus diarrhoea with hypokalemia
3. Prolapse rectum
4. Obstruction

Correct answer: 2. Mucus diarrhoea with hypokalemia

Explanation: • Villous adenoma causes profuse watery diarrhea and hypokalemia, hyponatremia, hypochloremia and metabolic acidosis.
• Best treatment: Submucosal resection endoscopically or surgically (Provided cancerous change has been excluded).